Arch of Aorta is derived from all except -
1. Left horn of Aortic sac
2. Left 4th arch artery
3. Left dorsal aorta
4. Left 2nd arch artery

Correct answer: 4. Left 2nd arch artery

Explanation: Ans. is 'd' i.e., Left 2nd arch artery Development of major arteriesBlood vesselDevelopment componentsAscending aortaTruncus arteriosusArch of aorta1. Left horn of aortic sac2. Left 4th arch artery3. Left dorsal aortaDescending aorta1. Left dorsal aorta beyond 7th cervical intersegmental artery2. Fused dorsal aortaeBrachiocephalic arteryRight horn of aortic sac in which right 3rd and 4the arch arteries are openingCommon carotid3rd arch artery distal to external carotid budInternal carotid artery3rd arch artery distal to external carotid bud and dorsal aorta cranial to attachment of 3rd arch arteryExternal carotid arteryNew sprout (bud) from 3rd arch arterySubclavian artery Right1. Right 4th arch artery2. Right 7th cervical intersegmental arteryLeft 7th cervical intersegmental artery LeftPulmonary trunkPulmonary arteryDuctus arteriosusTruncus arteriosus6th arch artery (proximal part)Distal part of left 6th arch artery between pulmonary artery and descending aorta